Anterior spinal artery is a branch of
1. Internal carotid artery
2. Basilar artery
3. Vertebral artery
4. Labyrinthine artery

Correct answer: 3. Vertebral artery